In Treacher collin's syndrome there is:
1. Upward sloping of the palpebral fissure
2. Poorly developed or absence of malar bones
3. Progenia and mandibular prognathism
4. No loss of hearing

Correct answer: 2. Poorly developed or absence of malar bones